A hyperplastic mass containing neuroendocrine cells in an area of chronic inflammation and scarred tissue of lung is called?
1. Carcinoid
2. Tumorlet
3. Hamartoma
4. Teratoma

Correct answer: 2. Tumorlet

Explanation: Ans. (b) Tumorlet(Ref: Robbins 9th/pg 719-720; 8th/pg 729)Benign tumorlets of lungs are small, insignificant, hyperplastic nests Q of neuroendocrine cells seen in areas of scarring or chronic inflammation Q